Protease inhibitors are : a) Saquinavir b) Nevirapine c) Nelfinavir d) Abacavir e) Efavirenz
1. ac
2. be
3. bc
4. ad

Correct answer: 1. ac